Holt-Oram syndrome is characterized by?
1. ASD
2. VSD
3. TGA
4. TAPVC

Correct answer: 1. ASD

Explanation: Holt-Oram syndrome: - Autosomal dominant disorder - Characterized by - skeletal abnormalities of hands and arms like: Hypoplastic/ absent thumbs, radii Triphalangism Phocomelia - Cardiac anomalies ASD 1st degree heart block TRIPHALANGISM phacomelia